Tinel's sign is checking the regeneration of
1. Ruptured artery
2. Traumatised or sutured nerve
3. Vein rupture
4. All of the above

Correct answer: 2. Traumatised or sutured nerve

Explanation: (B) (Traumatized or sutured nerve) (503,446 Bailey & Love 26th)* Paresthesia in a median nerve distribution is induced or increased by either ''thumping" the volar aspect of the wrist (Tinel's sign) or pressing the extensor surface of both flexed wrists against each other (Phalen's sign).TestTechniqueSignificanceAlien's testElevate the hand and apply digital pressure on the radial and ulnar arteries to occlude them. Ask the patient to make a fist several times. The tips of the finger should go pale. Release each artery in turn and observe the return of colourTest the adequacy of the blood supply to the hand from the radial and ulnar arteries and the arcade between themTinel's testTap over the nerve of interest. Tingling may indicate nerve compressionIdentifies compression of a peripheral nervePhalen's testPlace the wrist in maximum flexion with the elbows extendedCompression of the medial nerve causes paraesthesiaFroment's signAsk the patient to grip a sheet of paper between the index finger and thumb of both hands. Grip, the paper yourself similarly. Ask the patient to resist as you attempt to pull the paper awayA positive test indicated by flexion of the thumb interphalangeal joint suggests weakness of the adductor pollicis muscle supplied by the ulnar nerve. Recruitment of the median nerve-innervated flexor pollicis brevis explains the thumb posture* Allen's test is useful in evaluating Integrity of palmer arch*** Allen' stest is used to determine whether the patency of the radial or ulnar artery is normal